During ovulation, the secondary oocyte resides at what specific stage of meiosis?
1. Prophase of meiosis I
2. Prophase of meiosis II
3. Metaphase of meiosis I
4. Metaphase of meiosis II

Correct answer: 4. Metaphase of meiosis II

Explanation: The secondary oocyte is arrested in metaphase of meiosis II about 3 hours before ovulation It remains in this meiotic stage until fertilization occurs .